Which parasite lives in bladder plexus?
1. Schistosoma
2. Fasciola
3. Ascaris
4. Echinococcus

Correct answer: 1. Schistosoma

Explanation: All the schistosomes live in venous plexus in the body of definitive host S. haematobium in urinary bladder S.mansoni in sigmodorectal region S. japonicum in ileocaecal region